A patient with anaphylactic shock, after receiving penicillin injection comes to you, Which of the following life-saving treatment you would take into consideration
1. Intravenous hydrocortisone hemisuccinate
2. Intravenous adrenaline hydrochloride
3. Intramuscular adrenaline hydrochloride
4. Intravenous glucose saline

Correct answer: 3. Intramuscular adrenaline hydrochloride